Lipoxins synthesized from arachidonic acid act by?
1. Decrease leucocyte migration, adhesion, chemotaxis
2. Increase leucocyte migration, adhesion, chemotaxis
3. Vasoconstrictio
4. Increased vascular permeability

Correct answer: 1. Decrease leucocyte migration, adhesion, chemotaxis

Explanation: Ans. is 'a' i.e., Decrease leucocyte migration, adhesion, chemotaxis Effects of lipoxins (LXA4, LXB4 ) are :? Inhibit neutrophil chemotaxis and leukocyte recruitment (major action). Vasodilatation Promote moncytic phagocytosis of apoptotic neutrophils.